A patie-tt has undergone total thyroidectomy for papillary carcinoma of thyroid. Marker for follow-up of such a patient is:
1. Thyroglobulin
2. Calcitonin
3. TSH
4. Serum iodine levels

Correct answer: 1. Thyroglobulin

Explanation: Ans. A: ThyroglobulinThe measurement of serum thyroglobulin is of value in the follow-up and detection of metastatic disease in patients who have undergone surgery for differentiated thyroid carcinomaDifferentiated thyroid carcinoma includes follicular and papillary neoplasmsThyroid carcinoma which is:MC type: PapillaryLeast common type: AnaplasticBest prognosis: PapillaryWorst prognosis: AnaplasticDeveloping in thyroglossal cyst: PapillarySpreading by lymphatics: PapillaryPsammoma bodies: PapillaryLeast malignant: PapillaryHuhle cell variant: FollicularArising from parafollicular/ C cells: MedullaryAssociated with MEN II: MedullarySecrete calcitonin: MedullaryAssociated with RET proto-oncogene: Medullaryy